Barr body was first detected in:
1. Buccal mucosa
2. Brain
3. Liver
4. Skin

Correct answer: 2. Brain

Explanation: Ans. Brain